Operation of choice in GERD is
1. Highly selective vagotomy
2. Fundoplication
3. Hellers myotomy
4. Gastrectomy

Correct answer: 2. Fundoplication

Explanation: Operations for GORD are based on the creation of an intra-abdominal segment of oesophagus, crural repair and some form of wrap of the upper stomach (fundoplication) around the intra-abdominal oesophagus.Nissen fundoplication is one of the commoner procedures done.Ref: Bailey and Love 27e pg: 1078